Trismus in oral cancer patients is severe in those treated with -
1. Surgery and Radiotherapy
2. Chemotherapy alone
3. Surgery alone
4. Not related to treatment

Correct answer: 1. Surgery and Radiotherapy

Explanation: Restriction to mouth opening, including restrictions caused by trauma, surgery or radiation.
Implications : Reduced nutrition due to impaired mastication, difficulty in speaking, and compromised oral hygiene.
Often observed in persons who have received radiation to the head and neck, in conjunction with difficulty in swallowing.
Limited jaw mobility can result from trauma, surgery, radiation treatment, or even TMJ problems.
Radiation that affects the temporomandibular joint, the pterygoid muscles, or the masseter muscle, is most likely to result in trismus.
Some patients who have not received radiation treatment may develop trismus secondary to scarring and edema after surgery.